All are important laboratory features of hereditary spherocytosis, EXCEPT:
1. Reduced MCHC
2. Normocytic anemia
3. Positive pink test
4. Normal WBC count

Correct answer: 1. Reduced MCHC

Explanation: Laboratory diagnosis of hereditary spherocytosis The anemia is usually normocytic. Increase in mean corpuscular hemoglobin concentration (MCHC)- (The only condition in which an increased MCHC is seen.) The diagnosis is on the basis of red cell morphology and osmotic fragility, a modified version called the pink test. Ref: Harrison, E-18, P-875.